A young boy had a flea bite while working in a wheat grain godown. After 5 days he developed fever and had auxiliary lymphadenopathy. A smear was sent to the lab to perform a specific staining. Which one of the following staining method would help in the identification of the following staining method would help in the identification of the suspected pathogen?
1. Albert staining
2. Zxhihl -Neelson staining
3. McFadyean's staining
4. Wayson staining

Correct answer: 4. Wayson staining

Explanation: The young boy working in a wheat grain godown (habitat for rats) is likely to have been bitten by a rat flea. Fever and axillary lymphadenopathy is consistent with the presentation of Plague. Ref: Harrison's Principles of Internal Medicine, 16th Edition, Page 924; Medical Microbiology By MIMS, 2nd Edition, Page 372